A 20-year-old carpenter with a wound infection on his left thumb presents with an enlarged and tender lymph node in the axilla. A lymph node biopsy shows follicular enlargement and hyperemia. The sinuses are filled with neutrophils. Which of the following is the most likely diagnosis?
1. Suppurative lymphadenitis
2. Castleman disease
3. Interfollicular hyperplasia
4. Sinus histiocytosis

Correct answer: 1. Suppurative lymphadenitis

Explanation: Acute suppurative lymphadenitis occurs in the lymph nodes that drain a site of acute bacterial infection. Suppurative lymph nodes enlarge rapidly because of edema and hyperemia and are tender due to distention of the capsule.Diagnosis: Suppurative lymphadenitis